The thickness of the cornea is measured by using –
1. Schiotz tonometer
2. Keratometer
3. Pachymeter
4. Aesthesiometer

Correct answer: 3. Pachymeter

Explanation: Pachymetry is used to measure thickness of cornea.